Water-lily sign on chest X-ray is seen in -
1. TB
2. Aspergillosis
3. Hydatidcyst
4. Cryptococcosis

Correct answer: 3. Hydatidcyst

Explanation: Ans. is 'c' i.e., Hydatid cystRadiological signs of hydatid cvst of lung1) Meniscus sign4) Rising sun sign2) Water-lilly sign5) Serpent sign3) Camalote sign6) Empty cyst sign